Which of the following is least likely to cause constrictive pericarditis -
1. Tuberculous pericardial effusion
2. Staphylococcal effusion
3. Post cardiac surgery
4. Acute rheumatic fever

Correct answer: 4. Acute rheumatic fever